Mainlining is -
1. Cocaine addiction
2. Homicidal cut wounds
3. Drug addicts using main veins for injecting drugs
4. Suicidal cut wounds

Correct answer: 3. Drug addicts using main veins for injecting drugs

Explanation: Most persistent drug abusers follow a classic progression from sniffing (similar to oral route) to skin popping (subcutaneous route), to mainlining (intravenous route) - each step bringing more intense experience, a higher addiction liability. With mainlining the initial 'thrill' is more intense.